The annual conversion rate to dementia in patients with mild congnitive impairment is -
1. 10%
2. 20%
3. 30%
4. 40%

Correct answer: 1. 10%